Isolite system is an advancement in:
1. Advanced lignocaine syringe system
2. Isolation system
3. Light curing system having LED system
4. Bleaching for fluorosed teeth

Correct answer: 2. Isolation system

Explanation: Isolite:

Newer isolation device that provides illumination in addition to suction, retraction of tongue & cheek and an integrated bite block.
Retracts and protects the tongue and cheeks.
Delivers shadowless illumination throughout the oral cavity, continuously aspirates fluids and oral debris, and obturates the throat to prevent aspiration of instruments or other materials.

Ref: Fundamentals of Operative Dentistry, Summits and Schwartz, 4th edition, pg no: 188